Chyriasis is deposition of
1. Silver in stroma of cornea
2. Gold in stroma of cornea
3. Iron in basement membrane
4. Copper in descement's membrane

Correct answer: 2. Gold in stroma of cornea

Explanation: Chryiasis is deposition of gold in stroma of cornea. Type of Pigment Name of Deposit Disorder Location in Cornea Iron Stocker's line Pterygium Epithelium Hudson-Stahli line In old age Epithelium Ferry's line Filtering bleb Epithelium Fleischer's ring Keratoconus Epithelium Coat's white ring Previous Metallic foreign body injury Bowman's layer Siderosis Stroma Blood staining of cornea Stroma Copper Kayser-Fleischer ring Wilsons's Disease Descement's membrane Melanin Krukenberg's spindle Pigment dispersion syndrome Endothelium Silver Argyrosis Stroma Gold Chrysiasis Stroma